Ca colon, investigation of choice is -
1. CT scan
2. Ba enema
3. Colonoscopy
4. X-ray abdomen

Correct answer: 3. Colonoscopy

Explanation: Ans. is 'c' i.e., Colonoscopy * Colonoscopy with biopsy of suspect lesions is the gold standard test for establishing the diagnosis of CA colon.